Most common emotion of man
1. Fear
2. Anger
3. Anxiety
4. Love

Correct answer: 1. Fear